Maintaining sick role by any means is a characteristic feature of -
1. Hypochondriasis
2. Somatization disorder
3. Conversion disorder
4. Factitious disorder

Correct answer: 4. Factitious disorder

Explanation: Maintaining sick role by any means (distorting history / investigational reports) to obtain medical attention is characteristic of Munchausen syndrome (factitious disorder).